Double bubble sign is seen in -
1. Ladd's band
2. Annular pancreas
3. Duodenal atresia
4. All of the above

Correct answer: 4. All of the above

Explanation: Ans. is 'd' i.e., All of the above o Double bubble sign is seen in duodenal atresia, duodenal web, deudenal stenosis, Ladd's band, Annular pancreas, Malrotation of gut, preduodenal vein.Single Bubble signCongenita] hypertrophic pyloric stenosisDouble Bubble signDuodenal atresiaDuodenal webDuodena] stenosisLadd's bandAnnular pancreasMalrotation of gutPreduodenal veinTriple Bubble signJejunal or proximal ileum atresiaMultiple Bubble signIleal atresia